Most common site of osteomas among the paranasal sinuses is ?
1. Maxillary
2. Frontal
3. Ethmoidal
4. Sphenoidal

Correct answer: 2. Frontal

Explanation: Ans. is'b'i.e., Frontal [Ref: Dhingra 4h/e p. 195)Osteoma are commonly seen in fronto-ethmoid region.The most common sites of osteomas are the frontal sinus followed by ethmoid and maxillary sinuses.They are rare in the sphenoid sinus and extremely rare on temporal and occipital squama.